In follicular carcinoma chromosomal translocation is?
1. PAX8 -PPARrl
2. RET - PTC
3. ALK -NMP1
4. JAK - TEL

Correct answer: 1. PAX8 -PPARrl

Explanation: Ans. is 'a' i.e., PAX8- PPARrl Various genes involved in thyroid carcinomas arePapillaryo Tyrosine kinase receptors RET or NTRK1o RAS mutationo BRAF oncogeneFollicularo RAS oncogene (NRAS, HRAS and KRAS)o PAX8- PPARrl translocationMedullaryo RETprotooncogne.